Richest source of cholesterol is:
1. Egg
2. Hydrogenated oil
3. Butter
4. Cheese

Correct answer: 1. Egg

Explanation: Egg